Maximum electrophoretic mobility and least lipid content -
1. Chylomicrons
2. HDL
3. LDL
4. VLDL

Correct answer: 2. HDL

Explanation: Ans. is 'b' i.e., HDL o HDL:- Has maximum electrophoretic mobility, has maximum density, has minimum lipid content, has maximum protein (apoprotein) content, are smallest in size, has maximum phospholipid, has minimum triglycerideso Chylomicrons :- Have no electrophoretic mobility, have minimum density, have maximum lipid content, have minimum protein content, are largest in size, have minimum phospholipids, have maximum triglycerides. ChylomicronVLDLLDLHDLElectrophoresisFound at originPre-b (a2)ba (or a1)Mobility in electric fieldLeast Found in beta regionHighestAporproteinApob48Apo b-100Apo b-100Apo A-1 & IIOrigin (synthesis)Intestine (-nt in serum)Liver, intestineIn blood from degradationLiver of VLDLSize1000-10,000 A0 (maxm)300-700 A (minm)150-250 A075-100A0Density<.96 (lowest) > 1.063 (Max.)Major lipidsTG (90%)TG (50%)Cholesterol (45%)PL (30%)FunctionsTransports exogenous/dietary TG (Intestine - liver)Transport endogenous TG liver - peripheral tissueAtherogenic caused CAD coronary artery d/s; (major transporter of choresstrol in bid)Scavenging action transports cholest- rol from peripheral tissue to liver for degrada"